La facies sympathique" is a condition seen in cases of
1. Hanging
2. Strangulation
3. Myocardial insufficiency
4. Railway accidents

Correct answer: 1. Hanging

Explanation: In hanging cases there will be ligature knot in the neck. If ligature knot presses on cervical sympathetic nerves, the eye on the same side may remain open with its pupil dilated which is known as 'le facie sympathique'. It indicates antemortem hanging Ref: The synopsis of forensic medicine & Toxicology 28th edition pg. no: 180